Rape is defined under:
1. Sec. 320 IPC
2. Sec. 375 IPC
3. Sec. 376 IPC
4. Sec. 351 IPC

Correct answer: 2. Sec. 375 IPC

Explanation: Ans. (B). 375 IPC(Ref: The essentials of forensic medicine and toxicology; Dr. KS Narayana Reddy, 33rd edition; Page no: 411)According to 375 IPC, Sexual intercourse with a girl under 18 years of ageQ with or without her consent is statutory rape.The minimum age of wife to give consent for sexual intercourse is also 18 years.In a landmark judgment on 11th October 2017, the Supreme Court ruled that sexual intercourse with wives between 15 and 18 years of age will be considered to be rape.